Which of the following is true of thyroid nodules during pregmancy
1. Are poorly assessed by fine-needle aspiration.
2. Can be safely removed before 24 weeks gestation.
3. When smaller than 0.5 cm, can be reliably detected sonographically.
4. If cancerous, confer worse prognosis than if found in non pregnant controls.

Correct answer: 2. Can be safely removed before 24 weeks gestation.

Explanation: Sonography can detect nodules if larger than 0.5cm. FNAC is excellent diagnostic method. Most thyroid carcinomas are well differentiated and have indolent course in pregnancy.